Which of the following is the mode of action of vasopressin?
1. Facilitates water absorption at medullary ducts
2. Increasing permeability of H2O across collecting duct
3. Facilitate water absorption at PCT
4. Facilitate H2O secretion at loop of henle

Correct answer: 2. Increasing permeability of H2O across collecting duct

Explanation: The action of vasopressin is increasing the permeability of collecting duct to water Aquaporin 2. The net effect is water retention in excess solute resulting in decreased effective osmotic pressure of body fluids. Ref: Ganong, 21st Edition, Page 235